Which of the following respond best to radiotherapy?
1. Seminoma
2. Teratoma
3. Choriocarcinoma
4. Endometrial carcinoma

Correct answer: 1. Seminoma

Explanation: Ans. Seminoma